Virus implicated in Burkitt's lymphoma is -
1. EB virus
2. Arbo virus
3. Picorna virus
4. Coxsackie virus

Correct answer: 1. EB virus

Explanation: repeated question